Which of the following is false about mucocele of gallbladder?
1. Complication of gall stones
2. Treatment is early cholecystectomy
3. Obstruction at neck of gall bladder
4. Gallbladder is never palpable

Correct answer: 4. Gallbladder is never palpable

Explanation: Mucocele (Hydrops) Hydrops or mucocele result from prolonged obstruction of the cystic duct, usually by a large solitary calculus. Clinical Features A visible, easily palpable, nontender gallbladder sometimes extending from the RUQ into the right iliac fossa may be found on physical examination. Treatment Early cholecystectomyQ, because empyema, perforation, or gangrene may complicate the condition.